Which is not a feature of Dysfunctional uterine bleeding :
1. Tender uterus
2. Uterine size of 8-10 weeks
3. Menorrhagia
4. Proliferative endometrium

Correct answer: 1. Tender uterus

Explanation: Tender uterus